Which of the following azole  can be used in Mucarmycosis?
1. Itraconazole
2. Voriconazole
3. Posaconazole
4. Fluconazole

Correct answer: 3. Posaconazole

Explanation: All azoles are contraindicated in Mucarmycosis except "Posaconazole"